What is seen on x-ray with posterior elbow dislocation -
1. Coronoid process posterior to humerus
2. Coronoid process anterior to humerus
3. Coronoid process below humerus
4. None

Correct answer: 1. Coronoid process posterior to humerus

Explanation: In posterior elbow dislocation, coronoid process of ulna is posterior to the condyles of humerus.